A person was brought by police from the railway platform. He is talking irrelevant. He is having dry mouth with hot skin, dilated pupils, staggering gait and slurred speech. The most probable diagnosis is:
1. Alcohol intoxication
2. Carbamates poisoning
3. Organophosphorous poisoning
4. Dhatura poisoning

Correct answer: 4. Dhatura poisoning

Explanation: Features of dhatura poisoning: (All Datura plants contain tropane alkaloids such as scopolamine, hyoscyamine, and atropine) Dilatation of pupils Dryness of mouth Difficulty in speech Dysphagia Dilatation of cutaneous blood vessels Dry, hot skin Drunken gait Delirium Drowsiness Reference The Synopsis of FORENSIC MEDICINE and Toxicology 29th Edition